Increased thickness of granular layer is found in
1. Psoriasis
2. Lichen planus
3. Ecthyma gangreosum
4. Intertigo

Correct answer: 2. Lichen planus

Explanation: Hypergranulosis is seen in Lichen planus whereas Psariosis is characterized by absent granular layer.